A ledge is created on the lingual surface of the full
cast crown, to accommodate the lingual clasp arm. The greatest advantage is that it provides for:
1. Appropriate contact
2. Appropriate undercut
3. Survey line
4. Guiding plane

Correct answer: 4. Guiding plane